Which one of the following statements about phenytoin is accurate ?
1. Displaces sulfonamides from plasma proteins
2. Drug of choice in myocionic seizures
3. Half–life is increased if used with phenobarbital
4. Toxicity may occur with only small increments in dose

Correct answer: 4. Toxicity may occur with only small increments in dose